A 5 year old child presents with rashes all over body, was diagnosed as chicken pox. How do you say it as chicken pox over small pox rash?
1. Centrifugal distribution
2. Pleomorphic Rash
3. Non-Pleomorphic Rash
4. Palms and soles are involved

Correct answer: 2. Pleomorphic Rash